All are true about starting a beta-blocker therapy in a patient with congestive heart failure except:
1. They should be started with maximum dose
2. They should be gradually increased over weeks
3. Special precautions should be taken in cases of NYHA class III and IV
4. Carvedilol and metoprolol are the preferred drugs.

Correct answer: 1. They should be started with maximum dose

Explanation: Beta-blocker is useful in mild to moderate heart failure. Starting dose should be very low then titration upward as tolerated to a target level. Sudden stoppage of beta-blockers is also not recommended (REF. Essential of medical pharmacology KD TRIPATHI 8th Edition)